Goose neck deformity is seen in
1. CHPS
2. Ischemic colitis
3. Ileocecal TB
4. Crohn's disease

Correct answer: 3. Ileocecal TB

Explanation: Ileocecal TB: Goose neck deformity occurs due to contracted, cicatrized, and pulled-up cecum as well as straightening of the terminal ileum.